Rapid evaluation of fungal hyphae/spores can be
achieved with
1. Grocott Gomori Methenamine silver
2. Hematoxylin and Eosin
3. KOH wet mount
4. Periodic Acid Schiff

Correct answer: 3. KOH wet mount